What is the most commonly involved in carcinoma colon -
1. Caecum
2. Rectosigmoid colon
3. Transverse colon
4. Ascending colon

Correct answer: 2. Rectosigmoid colon